CSF is partly absorbed by lymphatics around cranial nerves?
1. I, II, VII, VIII
2. I, II, VI, VII
3. I, III, VII, VIII
4. I, II, VI, VIII

Correct answer: 1. I, II, VII, VIII

Explanation: A i.e. I, II, VII, VIII